X-ray sign of pneumoperitoneum is
1. Seagull sign
2. Prehn sign
3. Rigler's sign
4. Golden 'S' sign

Correct answer: 3. Rigler's sign

Explanation: Rigler's sign - bowel wall outlined by intraluminal and free peritoneal gas.